Persistent multinodular goiter may cause -
1. Follicular Carcinoma
2. Pappilary Carcinoma
3. Medullary Carcinoma
4. Colloid Carcinoma

Correct answer: 1. Follicular Carcinoma

Explanation: Ans. is 'a' i.e., Follicular Carcinoma "An increased incidence of cancer (usually follicular) has been reported from endemic areas. Dominant or rapidly growing nodules in longstanding goiters should always be subjected to aspiration cytology." - Bailey & Love